In a chronic alcoholic all the following may be seen in the liver except -
1. Fatty degeneration
2. Chronic hepatitis
3. Granuloma formation
4. Cholestatic hepatitis

Correct answer: 3. Granuloma formation

Explanation: Ans. is 'c' i.e., Granuloma formation